Which of the following intravenous induction agent is most suitable for day care surgery?
1. Morphine
2. Ketamine
3. Propofol
4. Diazepam

Correct answer: 3. Propofol

Explanation: ANSWER: (C) PropofolREF: Morgans clinical anesthesiology 3rd edition page 173Repeat in December 2010"Propofol is the most suitable intravenous induction agent for day care surgery"